IQ (Intelligence quotient) of a child means –
1. The creative effciency of child
2. The capability of the child to perfrom intellectual tasks in relation to other children of same age
3. The efficiency of memory of child
4. Quantification of the learning ability of child

Correct answer: 2. The capability of the child to perfrom intellectual tasks in relation to other children of same age

Explanation: tasks in relation to other children of same age.